Among the following, earliest test to be positive in leptospirosis is:
1. Microagglutination test (MAT)
2. Leptospira culture of blood
3. IgM ELISA of serum
4. Macroagglutination test

Correct answer: 3. IgM ELISA of serum

Explanation: Test for leptospirosis:Time to become positive:MAT(microscopic agglutination testing)Second week of illnessIgM ELISAWithin 3-5 daysBlood culture7-14 days after exposure(ref:Harrison's 17/e p1050)